Mollaret's meningitis refers to which of the following?
1. Recurrent pyogenic meningitis
2. Recurrent leptomeningitis due to collagen vascular disease
3. Recurrent meningitis due to hematological malignancy
4. Recurrent benign aseptic meningitis

Correct answer: 4. Recurrent benign aseptic meningitis

Explanation: Mollaret's meningitis is characterized by recurrent episodes of severe headache, meningismus, and fever; cerebrospinal fluid (CSF) pleocytosis with large "endothelial" cells, neutrophils, and lymphocytes; and attacks separated by symptom-free periods of weeks to months; and spontaneous remission of symptoms and signs. It is a recurrent, benign aseptic meningitis. Ref: Harrison, Edition-18, Page-162